Which of the following cells become tissue macrophages
1. Neutrophils
2. Eosinophils
3. Monocytes
4. Lymphocytes

Correct answer: 3. Monocytes

Explanation: Monocytes enter the blood from the bone marrow and circulate for about 72 hours. They then enter the tissues and become tissue macrophages.
Ganong 23 rd ed, pg 65